In rural area, cattle sheds should be ..... away from the houses ?
1. 5 feet
2. 10 feet
3. 20 feet
4. 25 feet

Correct answer: 4. 25 feet

Explanation: Ans. is 'd' i.e., 25 feet Rural housing In rural areas, the 'approved' standards may be lower than in towns. The following minimum standards have been suggested : There should be at least two living rooms. Ample verandah space may be provided. The built-up area should not exceed one-third of the total area. There should be a separate kitchen with a paved sink or platform for washing utensils. The house should be provided with a sanitary latrine. The window area should be at least 10 percent of the floor area. There should be a sanitary well or a tube well within a quarter of a mile from the house. It is insanitary to keep cattle and livestock in dwelling houses. Cattle sheds should be at least 25 feet away from dwelling houses. A cattle shed should be open on all sides; an area 8 fit 4 fit is sufficient for each head of cattle. There should be adequate arrangement for the disposal of waste water, refuse and garbage.